Which of the following regarding Clostridium tetani is false
1. Soil and intestine of human and animals are the reservoirs
2. Predominantly seen in dry and winter season
3. Transmission through contaminated wounds
4. No herd immunity or seen

Correct answer: 2. Predominantly seen in dry and winter season

Explanation: Ans. (b) Prodominantly seen in dry and winter season Epidemiology of Tetanus Natural habitat of Clostridium tetani is soil and dust. Bacilli can be found in intestine of herbivorous animals, e.g. cattle, horses. The spores can survive for years. Infection is acquired by contamination of wound with spores. Sequence of events are: introduction of spores; germination, elaboration of exotoxin and binding to the receptor. It is not transmitted from person to person.